Splicing is a process of ?
1. Activation of protein
2. Removal of introns
3. Synthesis of protein
4. Replication of DNA

Correct answer: 2. Removal of introns

Explanation: In molecular biology and genetics, splicing is a modification of an RNA after transcription, in which introns are removed and exons are joined.This is needed for the typical eukaryotic messenger RNA before it can be used to produce a correct protein through translation.For many eukaryotic introns, splicing is done in a series of reactions which are catalyzed by the spliceosome a complex of small nuclear ribonucleoproteins (snRNAs), but there are also self-splicing introns.